A couple after four days of having sex, contraceptive recommended:
1. Oral contraceptive pills
2. CuT 380
3. Yuzpe method
4. Low dose POP with norgesterol

Correct answer: 2. CuT 380

Explanation: Ans. (b) CuT 380Ref. Shaws 15th ed, /: 549COPPER-TIUCP* Can be Inserted within 5days of intercourse* MOA: prevents implantation of a fertilized ovum.* Advantages:# It can be inserted as late as 5 days after the unprotected intercourse.# cheap.# Failure rate is EXCEPTIONALLY low which is 0.1 %.# It is long lasting, can remain as ongoing contraceptive method for 3 to 5 years.ContraceptiveFailure rateMethod / time of administrationCuT0.1%Inserted within 5days of UNPROTECTED sexLevonorgestrel (LNG)1.1%.One tablet should be taken within 72 hours of unprotected sex and another 12 hours later.ContraceptiveFailure rateMethod / time of administrationCombined pill3.2 per 100 woman yearstaken within 72 hours of intercourse followed by 2 tablets taken 12 hours later (Yuzpe and Lancee method)RU 486 (mifepristone)failure rate 0.9%single dose of 10 mgEthinyloestra- diolfailure rate 0 to 1.5%1 mg daily for 5 days, starting within 72 hours of unprotected sex (Haspels and Andriesse method)